Breast milk is deficient in which vitamin
1. Vitamin A
2. Vitamin B1
3. Vitamin K
4. Vitamin C

Correct answer: 3. Vitamin K

Explanation: Ans. is 'c' i.e., Vitamin K Exclusive breasfed infants may have following deficiencies - Vit B12 (if mother is strict vegetarian) Fluoride Vit D Vit K "Breastfed infants are protected as the breastmilk contains adequate amounts of vitamin C, except when the mother is deficient in Vitamin C".